Call Exner bodies are seen in
1. Mature teratoma
2. Endodermal sinus tumor
3. Granulosa cell tumor
4. Sertoli Leydig cell tumor

Correct answer: 3. Granulosa cell tumor

Explanation: Almost all (>95%) of breast malignancies are adenocarci- nomas that first arise in the duct/lobular system as carci- noma in situ; at the time of clinical detection the majority (at least 70%) will have breached the basement mem- brane and invaded the stroma. Carcinoma in situ refers to a neoplastic proliferation of epithelial cells that is confined to ducts and lobules by the basement membrane. Invasive carcinoma (synonymous with "infiltrating" carcinoma) has penetrated through the basement membrane and grows within stroma. Here, the cells have the potential to invade into the vasculature and thereby reach regional lymph nodes and distant sites. The terms ductal and lobular are still used to describe subsets of both in situ and invasive carcinomas, but most evidence suggests all breast carcinomas actually arise from cells in the terminal duct lobular unit. Carcinoma in situ was originally classified as DCIS or lobular carcinoma in situ (LCIS) based on the resemblance of the involved spaces to normal ducts or lobules. It is now recognized that these growth patterns are not related to the cell of origin, but rather reflect differences in tumor cell genetics and biology. By current convention, "lobular" refers to invasive carci- nomas that are biologically related to LCIS, and "ductal" is used more generally for adenocarcinomas that cannot be classified as a special histologic type.